Adhesion of platelets to collagen is due to -
1. Factor IX
2. Fibrinogen
3. Von Willebrand factor
4. Fibronectin

Correct answer: 3. Von Willebrand factor

Explanation: . Von Willebrand factor